Which is the most common site for hymen tear following intercourse
1. Posterolaterally
2. Anteromedially
3. Posteromedially
4. Anterolaterally

Correct answer: 1. Posterolaterally

Explanation: Tears usually occur at 4 or 8 clock position. (at posterolateral location).